Erbs palsy involves injury to -
1. C5, 6 roots
2. C6, 7 roots
3. C7, 8 roots
4. C8, T1 roots

Correct answer: 1. C5, 6 roots

Explanation: Ans. is 'a' i.e., C5, 6 roots * Erb's paralysis - C5C6.* Klumpke's paralysis - C8T1